Ileocecal tuberculosis presents with all except –
1. Rapid emptying of narrowed terminal ileum
2. Inverted umbrella sign
3. Stellate ulcer with elevated margins
4. Longitudinal ulcers are more common

Correct answer: 4. Longitudinal ulcers are more common

Explanation: Characteristically ulcers tend to be descrete and transverse or star shaped (stellate) with elevated margin, in contrast to Crohn's disease in which ulcers are longitudinal.